Primary component of nonadrenergic noncholinergic nerve transmission in gut is:
1. VIP and NO
2. VIP and CCK
3. VIP and Motilin
4. VIP and substance

Correct answer: 1. VIP and NO

Explanation: Vasoactive intestinal peptide (VIP) It is usually produced by neurons It is a potent vasodilator, cause smooth muscle relaxation, increases blood flow and epithelial cell secretion It is the primary component of nonadrenergic noncholinergic neurotransmission in gut along with nitric oxide (NO). Lack of VIP innervations plays a role in achalasia and Hirschsprung disease. Ref: Sleisenger and Fordtran's, Edition-9, Page-7.